In a sutured surgical wound, the process of epithelialization is completed within
1. 24 hours
2. 48 hours
3. 72 hours
4. 96 hours

Correct answer: 2. 48 hours

Explanation: Epithelialization is defined as a process of covering the denuded epithelial surface. In a sutured surgical wounds are epithelialized within 24-48 hours. Hence Post op dressing is done only after 48 hrs.